Paraneoplastic syndrome Hypercalcemia of malignancy, is produced due to ectopic production of which hormone by lymphomas ?
1. PTHrP
2. 1,25 dihydroxyvitamin D
3. PGE2
4. Parathormone

Correct answer: 2. 1,25 dihydroxyvitamin D

Explanation: Ans. is 'b' i.e., 1, 25 dihydroxyvitamin D